Denominator in general fertility rate is
1. All women between 15-45 years of age
2. All married women between 15-45 years of age
3. Total number of live births
4. Total number of all births

Correct answer: 1. All women between 15-45 years of age

Explanation: General Fertility Rate This measure addresses the crude nature of the Crude Birth Rate by focusing on that section of the population at risk of having births - Women aged 15-45years Reference : Park's textbook of preventive and social medicine, 23rd edition